Megaloblastic anemia due to folic acid deficiency is commonly due to
1. Inadequate dietary intake
2. Defective intestinal absorption
3. Absence of folic acid binding protein in serum
4. Absence of glutamic acid in the intestine

Correct answer: 1. Inadequate dietary intake

Explanation: Ref Harrison 19 th ed pg 646 Dietary folate deficiency is common. Indeed, in most patients with folate deficiency a nutritional element is present. Certain individuals are particularly prone to have diets containing inadequate amounts of folate (Table 128-5). In the United States and other countries where fortification of the diet with folic acid has been adopted, the preva- lence of folate deficiency has dropped dramatically and is now almost restricted to high-risk groups with increased folate needs.